Pneumococcal vaccine is prepared from ?
1. Cell surface antigen
2. Capsular polysaccharide
3. From exotoxin
4. From M protien

Correct answer: 2. Capsular polysaccharide

Explanation: Ans. is 'b' i.e., Capsular polysaccharide